Positive schick's test indicates that the person is -
1. Immune to diphtheria
2. Hypersensitive to diphtheria
3. Susceptible to diphtheria
4. Susceptible and hypersensitive to diphtheria

Correct answer: 3. Susceptible to diphtheria